A 1 month old infant presenting with cough and sneezing, respiratory rate 40 per minute, and there is no chest indrawing. The management is?
1. Urgent referral to hospital
2. IV antibiotics
3. Frequent breast feeding
4. Oral antibiotic syrup

Correct answer: 3. Frequent breast feeding

Explanation: Ans. is 'c' i.e.,Frequent breast feeding Classification of acute respiratory tract infection (ARTI) is very important because each class has a corresponding treatment plan.Before going ahead for classification of ARTI, one should know the definition of fast breathing. As the children get older, their breathing rate slows down.Therefore, the cut-off point of fast breathing will depend on the age of the child.